Pyridoxal phosphate acts as the coenzyme for the following except
1. Alanine transferase
2. Tranketolase
3. ALA Synthase
4. Cystathionine Synthase

Correct answer: 2. Tranketolase

Explanation: The enzymes catalyzing the reaction as a group are known as aminotransferases. These enzymes have pyridoxal phosphate as a prosthetic group. The reaction isreadily reversible. The pyridoxal phosphate is held in Schiff base linkage with the epsilon amino group of the lysine residue of the enzyme protein. This forms an aldimine link with the alpha amino group of the reacting amino acid. Then the linkage shifts to a ketimine linkage followed by hydrolysis, the products being an alpha-keto acid and pyridoxamine phosphate. During the 2nd phase of the reaction, the reaction is reversed, the new amino acid is formed and pyridoxal phosphate is regenerated.Ref: DM Vasudevan, Page no: 175